Atopy in hypersensitivity is ?
1. Systemic type I hypersensitivity
2. Local type I hypersensitivity
3. Systemic type II hypersensitivity
4. Local type II hypersensitivity

Correct answer: 2. Local type I hypersensitivity

Explanation: Ans. is 'b' i.e., Local type I hypersensitivity